Which of the following does not establish a diagnosis of congenital CMV infection in a neonate ?
1. Urine culture of CMV
2. IgG CMV antibodies in blood
3. Intra-nuclear inclusion bodies in hepatocytes
4. CMV viral DNA in blood by polymerase chain reaction

Correct answer: 2. IgG CMV antibodies in blood

Explanation: Ans. is `b' i.e. IgG CMV antibodies in blood " Ig G antibody test is of little diagnostic value as positive results also reflects maternal antibodies."